CD marker for cytotoxic T-cells-
1. CD 4
2. CD 8
3. CD 21
4. CD 45

Correct answer: 2. CD 8

Explanation: Ans. is 'b' i.e., CD 8 o Helper T-cells -CD4 positive.o Cytotoxic T-cells and suppressor T-cells - CD 8 positive.